Anterior scalloping of vertabrae seen in -a) Obsteogenesis imperfectab) Aortic aneurysmc) Metastasisd) Renal Cell Cae) T.B.
1. ab
2. ad
3. bc
4. be

Correct answer: 4. be